Biphasic pattern on histology is seen in?
1. Osteosarcoma
2. Osteoclastoma
3. Synovial cell sarcoma
4. Rhabdomyosarcoma

Correct answer: 3. Synovial cell sarcoma

Explanation: Synovial cell sarcoma can have dual lining of differentiation consisting of epithelial and spindle tumor cells.